Millennium developmental goal for HIV/AIDS –
1. 6
2. 3
3. 8
4. 1

Correct answer: 1. 6

Explanation: Goal 6 is to combat HIV/AIDS; malaria and other diseases.